Most common mode of transmission of HIV world wide is -
1. Heterosexual
2. Homosexual
3. IV-drug abuse
4. Contaminated blood products

Correct answer: 1. Heterosexual

Explanation: most common mode of transmission of HIV virus is through hetrosexual REF:ANANTHANARAYANAN TEXT BOOK OF MICROBIOLOGY 9EDITION PGNO.570